. Clostridium difficale infection occurs after ?
1. After prolong antibiotic therapy
2. Pantoprazole increases the risk
3. Associated with use of rectal thermometer
4. All

Correct answer: 4. All

Explanation: Ans. is 'a' i.e., After prolong antibiotic therapy, 'b' i.e., Pantoprazole increases the risk, 'c' i.e., Associated with use of rectal thermometer